A patient is having narrow angle glaucoma. Drug contraindicated in this patient is:
1. Acetazolamide
2. Timolol
3. Homatropine
4. Pilocarpine

Correct answer: 3. Homatropine

Explanation: Ans. C. HomatropineAny drug having anti-cholinergic action can produce mydriasis in eye. Mydriasis is dangerous in a patient of glaucoma as it can precipitate the attack of angle closure glaucoma. Homatropine is an anti-cholinergic drug, therefore should be avoided in Glaucomatous patientSome other classes of drugs, i.e. tricyclic antidepressants, 1st generation anti-psychotic (phenothiazines), antihistamines and disopyramide possess significant antimuscarinic actions.